5 hours ago a 7-year-old boy had a fall. He fractured
his maxillary right central incisor at gingival level. The
exposed pulp is still vital. Treatment of choice is:
1. Pulpotomy
2. Pulpectomy
3. Extraction of the tooth
4. Pulp capping

Correct answer: 1. Pulpotomy